Which of the following antiglaucoma medication is UNSAFE in infants?
1. Timolol
2. Brimonidine
3. Latanoprost
4. Dorzolamide

Correct answer: 2. Brimonidine

Explanation: ref: A K Khurana Ophthalmology 5th edition (page no: 225) Goodman and gillmaG 12/e p1788 Brimonidine is an alpha 2 agonist. it causes CNS depression in children. so it is contraindicated in infants